Which method is not used for autopsy ?
1. Virchow
2. Rokitansky
3. Lettulle
4. Thomas

Correct answer: 4. Thomas

Explanation: Ans. is 'd' i.e., Thomas Methods of removal of organs Virchow's technique - organs are removed one by one. Cranial cavity is exposed first, followed by thoracic, cervical & abdominal organs. Rokitansky's technique - It involves in situ dissection in part, combined with en block removal. Lettulle's technique - Cervical, thoracic, abdominal & pelvic organs are removed en masse & dissected as organ block.